True statement regarding neuraxial opioids for labor and delivery is
1. Opioids should never be used as a sole agent
2. Most common side effect is fetal bradycardia
3. Intrathecal morphine is associated with quick peak in concentration and early onset maternal respiratory depression
4. Systemic absorption is similar to intramuscular

Correct answer: 4. Systemic absorption is similar to intramuscular

Explanation: Most common side effect of  opioids is pruritis. Since epidural space contains extensive vascular plexus systemic absorption is similar to intramuscular injection.